Which of the following is not a feature of acute renal failure?
1. Hyperphosphatemia
2. Hypocalcemia
3. Hypokalemia
4. Metabolic acidosis

Correct answer: 3. Hypokalemia

Explanation: Complications of AKI Complications associated with AKI are, protein, and depend on the severity of AKI and other associated conditions. Mild to moderate AKI may be entirely asymptomatic, particularly early in the course. Include Uremia, Hypervolemia/Hypovolemia, Hyponatremia, Hyperkalemia, Metabolic acidosis, Hyperphosphatemia, hypocalcemia Bleeding, infections, cardiac complications and malnutrition are other complications. Ref: Harrison 19e 1809